Organ which is affected least in IUGR :
1. Liver
2. Muscle
3. Skeleton
4. Brain

Correct answer: 4. Brain

Explanation: Brain